The impression for a diagnostic cast of a partial edentulous mouth should be taken in:
1. Impression wax
2. Modelling compound
3. Hydro-colloid
4. Hydro cal

Correct answer: 3. Hydro-colloid